Which poisoning is also known as st Anthony fire?
1. Heroin poisoning
2. Ergot poisoning
3. Mushroom poisoning
4. Dhatura poisoning

Correct answer: 2. Ergot poisoning

Explanation: Ergotism is an intensely painful barning sensation in the limbs and extremities caused by ergotamines from a fungus (claviceps paripurea) that can contaminate rye and wheat.